Spermicidal jelly acts through :
1. Acrosomal enzyme
2. Cervical enzyme alteration
3. Glucose uptake inhibition by sperms
4. Disruption of cell membrane

Correct answer: 4. Disruption of cell membrane

Explanation: Ans. is d i.e Disruption of cell membrane Spermicides : "Spermicides are contraceptive chemical agents. They comprise,of a chemical capable of destroying sperm, incororated into an inert base. The commonly used spermicidal agents contgain nonionic surfactants which alter sperm surface membrane permeability, causing osmotic changes resulting in killing of sperm. Most of the spermicides contain nonoxynol-9 which is the best for this purpose."